Trident hand is seen in –
1. Achondroplasia
2. Mucopolysaccharidosis
3. Diphyseal achlasia
4. Cleidocranial dystosis

Correct answer: 1. Achondroplasia

Explanation: Trident hand is seen in achondroplasia.